Mucin clot test is done to detect-
1. Mucin in stool
2. Protein in CSF
3. Hyaluronate in Synovial fluid
4. Protein in pleural fluid

Correct answer: 3. Hyaluronate in Synovial fluid

Explanation: mucin clot test. A test of synovial fluid precipitation in acetic acid, formerly used to determine whether inflammatory arthritis was present in a joint. Other tests have replaced it, such as the cell count, cultures, Gram stain, and crystal examination Also helps in detection of hyaluronic acid in synovial fluid Ref Davidson 23rd edition pg 1015